Post mortem caloricity is seen in -
1. Tetanus
2. Cholera
3. Strychnine poisoning
4. All of the above

Correct answer: 4. All of the above

Explanation: Ans, is 'd' i.e., All of the abovePost mortem caloricitvo Normally temperature falls after death but temperature increased (upto 1.5 to 20 C) due to exercise, struggle prior to death.o It is seen when:Damage to heat regulation centre- due to sunstroke, some nervous disordersIncreased heat production in muscles, due to convulsions as in tetanus, strychnine poisoningExcessive bacterial activity due to septicaemiat cholera